Niemann-Pick disease is characterized by:
1. Increased concentration of sphingomyelin in liver
2. Increased concentration of cerebrosides in liver and spleen.
3. Increased concentration of plasminogen
4. Increased accumulation of glycerol in liver

Correct answer: 1. Increased concentration of sphingomyelin in liver

Explanation: Ans. A. Increased concentration of sphingomyelin in liverNiemann -pick disease is due to the absence of sphingomyelinase enzyme which leads to the accumulation of sphingolipids or sphingomyelin in liver.